The endotoxin of the following gram negative bacteria does not play any part in the pathogenesis of the natural disease?
1. E.coli
2. Klebsiella
3. Vibrio cholerae
4. Pseudomonas

Correct answer: 3. Vibrio cholerae

Explanation: Ans. c. Vibrio cholerae Endotoxin of Vibrio cholerae plays no role in pathogenesis of cholera. Vibrio cholerae Comma shaped, isolated by Kochdeg Arranged as "fish in stream appearance" Possess single polar flagella and shows darting type motility (swarm of gnats)deg "Cholera Vibrios also possess the Lipopolysaccharide '0' antigen (LPS Endotoxin) as in gram negative intestinal bacilli. This a.pparently plays no role in pathogenesis of cholera, but is responsible for immunity induced by killed vaccines." - Ananthnarayan 8/e p307